A 60-year old man, weighing 60 Kgs, has a plasma creatinine value of 3 mg/dL. How much is his creatinine clearance?
1. 22 mL/min
2. 44 mL/min
3. 66 mL/min
4. 88 mL/min

Correct answer: 1. 22 mL/min

Explanation: Cockroft & Gault formula :- Ccr = x 0.85 (in females)/(72 X Pcr) Putting the given values into the equation, Ccr = /(72 X 3) Ccr=22.22 mL/min.